Best investigation for pulmonary embolism ___:
1. MRI
2. V/Q scan
3. Plain CT
4. CT angiography

Correct answer: 4. CT angiography

Explanation: Ans. D. CT angiographyPulmonary CT angiography /MDCT is the best investigation for pulmonary embolism. The dye is injected through the intravenous route.* V/Q scan is done in pregnant females.* Investigation of choice for an aortic aneurysm is CT angiography.